Beta adrenergic blocker having cardioselectivity, intrinsic sympathomimetic activity and membrane stabilizing property is:
1. Carvedilol
2. Atenolol
3. Acebutolol
4. Metoprolol

Correct answer: 3. Acebutolol

Explanation: Acebutolol is cardioselective Beta blocker with intrinsic sympathomimetic activity and membrane stabilizing property * Cardioselective Beta blockers : Metoprolol, Atenolol , Acebutolol , Bisoprolol , Nebivolol These drugs are more potent in blocking cardiac (Beta 1) than bronchial (Beta 2) receptors. However, selectivity is only relative and is lost at high doses. * Beta blockers with membrane stabilizing activity : Propranolol , Oxprenolol , Acebutolol contribute to the antiarrhythmic action